The following drugs may be used in erectile dysfunction, EXCEPT:
1. Phenylephrine
2. Apomorphine
3. Alprostidil
4. PGE1 analogues

Correct answer: 1. Phenylephrine

Explanation: Medications like Phentolamine, Papavarine hydrochloride and Alprostidil (PGE1 analogue) PGE1 analogues are given as intra-cavernosal injections in the treatment of erectile dysfunction. Phenylephrine is a selective alpha agonist which is used to reverse the erections of intra-thecal injections. It cannot be used in the treatment of erectile dysfunction. Ref: Clinical Manual of Sexual Disorders By Richard Balon, R. Taylor Segraves, Pages 230-35; Contemporary Issues in Prostate Cancer By Jeanne Held-Warmkessel, Pages 338-41; Erectile Dysfunction: Current Investigation and Management By Ian Eardley, Krishna Sethia, Pages 55, 101; K D Tripathi Textbook of Pharmacology, 5th Edition